Features of Cushing's syndrome are except-
1. Proximal muscle weakness
2. Hyponatremia
3. Hirsutism
4. Edema

Correct answer: 2. Hyponatremia

Explanation: Hypernatremia occurs in Cushing's syndrome ( Harrison 17 pg 2255) Features of cushing;s syndrome Ref image - Davidson's medicine 23ep668